Most common symptom seen in pulmonary tuberculosis is
1. Chest pain
2. Breathlessness
3. High temperature
4. Chronic Cough

Correct answer: 4. Chronic Cough

Explanation: (D) Chronic Cough # Constitutional symptoms associated with Pulmonary tuberculsosi include Chronic productive cough for atleast 2 or 3 weeks Low grade evening raise of temperature Loss of apetite Significant weight loss Night cries in bone and joint tuberculosis